Severity in acute hepatitis is best estimated by:
1. Serum bilirubin
2. Prothrombin time
3. a-glutaryl transferase
4. Alkaline phosphatase

Correct answer: 2. Prothrombin time

Explanation: Laboratory findings in Acute Hepatitis WBC count normal to low (pre icteric phase) Large atypical lymphocytes Mild proteinuria Bilirubinuria AST, ALT strikingly elevated Elevated Bilirubin and alkaline phosphatase Marked prolongation of prothrombin time.